25 year old patient presented with mass in iliac fossa. Which after laparotomy was found to be carcinoid of 2.5 cm. in diameter. What will be next step in management -
1. Segmental resection
2. Appendicetomy
3. Rt. hemicolectomy
4. Do yearly 5 HIAA assay

Correct answer: 3. Rt. hemicolectomy

Explanation: Ans. is 'c' i.e., . hemicolectomy Treatment for Carcinoid tumors of appendix Appendicectomy (Treatment of choice) Rt. hemicolectomy is indicated when tumor is > 2 cm. in size involve the base of appendix involve the caecal wall or mesoappendix Lymph nodes are involved.